The effect of trituration on strength in an amalgam restoration depends on
1. Amalgam alloy
2. Trituration time
3. Speed of amalgamator
4. All the above

Correct answer: 4. All the above